The risk factors of acute pelvic inflammatory disease (PID) are the following except :
1. Menstruating teenagers who have multiple sex partners
2. lUD users
3. Women with monogamous partner who had vasectomy
4. Previous history of acute PID

Correct answer: 3. Women with monogamous partner who had vasectomy

Explanation: Risk factors of acute PID Menstruating teenagers Multiple sexual partners Absence of contraceptive pill use Previous history of acute PID IUD users Area with prevalence of STDs D.C.DUTTA'S TEXTBOOK OF GYNAECOLOGY,Pg no:128,6th edition